Cervix undergo softening in early pregnancy. The sign is called
1. Chadwick's sign
2. Goodell's sign
3. Hegar's sign
4. Palmer's sign

Correct answer: 2. Goodell's sign

Explanation: Goodell's sign Cervix undergoes softening in early stages of pregnancy from below upwards. This is more apparent in primigravida than in multigravida. Consistency of cervix in non-pregnant will be as tip of nose and pregnant as lips. Ref: FORENSIC MEDICINE AND TOXICOLOGY Dr PC IGNATIUS THIRD EDITION PAGE 330